Custom is defined as -
1. Established pattern of behavior
2. Prescribed order of cremony
3. Ban to a particular activity
4. None

Correct answer: 1. Established pattern of behavior

Explanation: Ans. is 'a' i.e., Established pattern of behavior